Postnatally when is the growth velocity maximum
1. In the first year of life
2. In the second year of life
3. In the seventh year of life
4. In adolescence

Correct answer: 1. In the first year of life

Explanation: Postnatally there are 2 periods of accelerated growth, they are: 1st yr of growth Growth spurt during puberty Ref: Nelson's, 20th edition, Page-84